Scrub typhus is transmitted by -
1. Flea
2. Mite
3. Tick
4. Mosquito

Correct answer: 2. Mite

Explanation: scrub typhus:- Causative agent- Rickettsiae tsutsugamushi. Reservoir-Trombiculid mite.( Leptotrombidium delinese and L.akamushi). The infection is maintained in nature transovarially from one generation of mite to the next. The nymphal and adult stages of mite are free living in soil.they donot feed on vertebrae host. Larva feed on vertebrate host and picks up the Rickettsiae. Incubation period- 10-12 days. Clinical features- fever with chills, headache, malaise, prostration and maculopapular rash appearing around 5th day of illness. Eschar seen at bite site. Weil felix reaction strongly positive. Treatment- tetracycline Vector control Personal prophylaxis. {Reference: park's textbook of preventive and social medicine, 23rd edition, pg no.300}